Syndrome of Inappropriate secretion of Anti-Diuretic hormone (SIADH) may be seen in all of the following except?
1. Use of vincristine
2. Oat cell carcinoma of lung
3. Porphyria-acute attack
4. Primary pulmonary emphysema

Correct answer: 4. Primary pulmonary emphysema

Explanation: CAUSES OF SIADH: Neoplastic Pulmonary CNS Drugs Other Small cell Mesothelioma Stomach Pancreas Bladder Prostate Endometrium Thymoma Leucaemia LymphomaSarcoma Pneumonia Abscess TB Aspergillosis Asthma Cystic fibrosis PPV Abscess Meningitis AIDS SDH SAH CVA Head Trauma MS GBS Desmopressin Oxytocin* Vasopressin SSRIs* Anti-epileptics * NSAIDs * MDMA Idiopathic Hereditary (V2 receptor)